A 32 year old male patient complains of swelling in left maxillary region with heaviness in the maxillary sinus following tooth extraction of maxillary first molar. Patient gives a history of tooth extraction one week before with transalveolar type of extraction.

The average mucociliary air flow transport in the maxillary sinus is
1. 5 to 20mm per min
2. 5 to 20 cm per min
3. 5 to 20 km per min
4. 5 to 20 dm per min

Correct answer: 1. 5 to 20mm per min